A child start Jumping at the age of ________
1. 18 months
2. 24 months
3. 30 months
4. 36 months

Correct answer: 2. 24 months

Explanation: Emerging patterns of motor behaviour from 1-5years of age 15 months Walks alone Crawls upstairs 18 months Runs stiffly Sits on small Chair Walks upstairs with one handheld Explores drawers and wastebaskets 24 months Runs well Walks up and downstairs, 1 step at a time Opens doors Climbs on furniture Jumps 30 months Goes upstairs on Alternating feet 36 months Rides a tricycle Stands momentarily on one foot 48 months Hops on one foot Throws ball overhand Uses scissors to cut out pictures Climbs well 60 months Skips Ref: Nelson paediatrics; Table 11-1